Epidemic typhus cause and vector is
1. R. prowazki and louse
2. R. typhi and mite
3. R. conori and tick
4. R. akari and mite

Correct answer: 1. R. prowazki and louse

Explanation: Epidemic Typhus Is a type of rickettsial disease of typhus group : Recrudence form of Epidemic typhus : Brill Zinsser Disease Was the 'most formidable rickettsial disease in past' Causative agent: R.prowazekii Vector : Louse (p.capitis,p.corporis) Mode of Transmission: (Not by Louse bite) Scratching and inoculation with infected louse faeces Crushing infected louse on body Inhalation of infected louse faeces or dust Clinical picture : Prolonged febrile illness, Vasculitis Drug of choice : Tetracycline Under International Health Regulations (IHRs), "Louse borne typhus is a disease under surveillance" Ref: Park 25th edition Pgno : 316